NCPF is due to
1. Extrahepatic obstruction
2. Intrahepatic pre sinusoidal obstruction
3. Intrahepatic sinusoidal obstruction
4. Intrahepatic post sinusoidal obstruction

Correct answer: 2. Intrahepatic pre sinusoidal obstruction

Explanation: Pathology of Non-cirrhotic portal fibrosis Characterized by fibrous intimal thickening of the portal vein or its branches Hallmark of disease is thrombosis/sclerosis of the portal vein branches Portal and periportal fibrosis of varying extent (No bridging fibrosis) Portal vein is dilated with sclerosis of the walls and in autopsy thrombin in the medium or small portal vein branches with accompanying areas of ischemic necrosis Aberrant intrahepatic vessels may be present in the periportal area, which corresponds to dilated terminal portal vein branches or venues, termed as megasinusoids or periportal angiomatosis Ref: Blumgart 5th edition Pgno : 1088